Commonest congenital cataract is:
1. Nuclear
2. Zonular
3. Capsular
4. Coralliform

Correct answer: 2. Zonular

Explanation: Zonular